Suicidal tendencies are least common with-
1. Alone
2. Depression
3. Male
4. Married person

Correct answer: 4. Married person

Explanation: Ans. is 'd' i.e., Married person o Single unmarried person is a risk factor, not married person.Causes,'Risk factors for suicidePsychiatric disorders : - Depression (most common), alcoholism (2nd me), Drug/Substance dependence. Schizophrenia, Dementia.Physical illness: - Cancer, AIDS, Multiple sclerosis, Head trauma.Psychosocial factors: - Failure in love, marital difficulties, family dispute, illegitimate pregnancy.Biological factors: - Decrease in serotoninOther - Male sex, Age > 40 years, Single (Unmarried, divorced or widowed), previous suicide attempt, social isolation.